A 5-year-old with loose stools was treated with plan A, how much ORS should be given per stool for the kid
1. 0-50ml
2. 50-100ml
3. 100-200ml
4. 200-300ml

Correct answer: 3. 100-200ml

Explanation: The amount of ORS solution she should give is 50-100 ml ( 1/4 - 1/2 cup) of ORS solution for a child less than 2 years old. 100-200 ml for older children. Reference: GHAI Essential pediatrics, 8th edition